First immunoglobulin to appear following infection-
1. IgG
2. IgM
3. IgA
4. IgE

Correct answer: 2. IgM

Explanation: Ans. is 'b' i.e., IgM